In child development, the embryo period is?
1. 0-2 weeks
2. 2-3 weeks
3. 2-8 weeks
4. 9 weeks to birth

Correct answer: 3. 2-8 weeks